Mercury affects which part of the kidney -
1. PCT
2. DCT
3. Collecting duct
4. Loop of Henle

Correct answer: 1. PCT

Explanation: Poisoning with mercuric chloride provides the classic example that produces widespread and readily discernible tubular necrosis (acute mercury nephropathy). In mercuric chloride poisoning, the features are as follows: Epithelial cells of mainly proximal convoluted tubules are necrotic and desquamated into the tubular lumina. The desquamated cells may undergo dystrophic calcification. The tubular basement membrane is generally intact. The regenerating epithelium, which is flat and thin with few mitoses, may be seen lining the tubular basement membrane. Ref: Harsh Mohan textbook of pathology 6th edition page 680